Elements of primary health care include all of the following except –
1. Adequate supply of safe water and basic sanitation
2. Providing essential drugs
3. Sound referral system
4. Health Education

Correct answer: 3. Sound referral system

Explanation: Elements of Primary health care -

Education concerning prevailing health problems and the methods of preventing and controlling them
Promotion of food supply and proper nutrition
An adequate supply of safe water and basic sanitation
Maternal and child healths care including family planning.
Immunization against major infectious disease
Prevention and control of locally endemic disease.
Appropriate t/t of common disease and injuries.
Provision of essential drugs